Marker for intrinsic pathway is:
1. Prothrombin Time (PT)
2. Bleeding time (BT)
3. Clotting time (CT)
4. Activated partial thromboplastin time (aPTT)

Correct answer: 4. Activated partial thromboplastin time (aPTT)

Explanation: 1.The Activated partial thromboplastin time (PTT) assay screens the function of the proteins in the intrinsic pathway (factors XII, XI, IX, VIII, X, V, II, and fibrinogen). 2. Prothrombin time - Assay assesses the function of the proteins in the extrinsic pathway (factors VII, X, V, II, and fibrinogen). 3.Bleeding time - It indicates the functioning of the platelets. 4.Clotting time - It is altered in the patients who are having either a defect in the platelets or there is a defect in the clotting factors.